Bacteria coated with complement and Ig; phagocytosis is enhanced by-
1. Receptor mediated endocytosis
2. Pseudopod formation
3. Myeloperoxidase mediated destruction
4. C3b - Fc mediated destruction

Correct answer: 4. C3b - Fc mediated destruction